Rossman flod associated NADH domain is found in
1. Pyruvate dehydrogenase
2. Lactate dehydrogenase
3. Acetyl coA dehyrogenase
4. Isocitrate dehydrogenase

Correct answer: 2. Lactate dehydrogenase

Explanation: Rossmann fold is seen in family of oxidoreductases that shares a common N-terminal NAD(P)+-D binding domain Lactate dehydrogenase Alcohol dehydrogenase Glyceraldehyde -3-phosphate dehydrogenase Malate dehydrogenase D-glycerate dehydrogenase 6-phosphogluconate dehydrogenase Formate dehydrogenase Reference: Harpers illustrated Biochemistry 31st edition pg 37